Histological finding of Lichen planus -
1. Acanthosis
2. Hyperkeratosis
3. Basal cell degeneration
4. All of the above

Correct answer: 4. All of the above

Explanation: Ans. is 'd' i.e.. All of the above Histopathology in Lichen planus The basic pathology in lichen planus is the damage to the basal cell layer of epidermis leading to hydropic degeneration of basal cells.Epidermal thickening especially of granular cell layer - Hypergranulosis.Hyperkeratosis (Thickening of stratum cornuem)Acanthosis (Thickening of Stratum) malpighi.Subepidermal - lichenoid band due to deposition of lymphocytes & histiocytes in upper dermis.Dropping of melanin pigment from damaged keratinocytes of epidermis into dermis -pigment incontinence,This melanin is engulfed by macrophages which results information of cvtoid bodies (civatte or colloid bodies).Mox Joseph Histological cleft - Separation of epidermis in small clefts.